A 45-year-old tall, thin, male has acute onset of chest pain radiating into the back. In the emergency room his right radial pulse is bounding but his femoral pluses are absent. The most likely diagnosis is? SELECT ONE.
1. Aortic insufficiency
2. Aortic dissection
3. Ventricular fibrillation
4. Mitral insufficiency

Correct answer: 2. Aortic dissection

Explanation: Aortic dissection. This describes a patient with Marfan syndrome, who are typically at risk for aortic dissection. With dissection you may preserve right radial pulse but lose femoral pulses.